SSRIs are useful in treatment of:
1. Erectile dysfunction
2. Premature ejaculation
3. Retrograde ejaculation
4. Infertility

Correct answer: 2. Premature ejaculation

Explanation: SSRIs (selective serotonin reuptake inhibitors) are frequently used in premature ejaculation as they can delay the ejaculation( side effect of SSRI ). Alternatively , Clomipramine and Tramadol can also be used